Normal anionic gap is seen in:
1. Lactic acidosis
2. Diarrhea
3. Ketoacidosis
4. Methanol poisoningo

Correct answer: 2. Diarrhea

Explanation: Ans. B: Diarrhea